Aflatoxin is produced by -
1. Aspergillus flavus
2. Aspergillus famigatus
3. Calviceps purpura
4. Argemone mexicana

Correct answer: 1. Aspergillus flavus

Explanation: Ans. is 'a' i.e., Aspergillus flavus